All of the following are actions of factor II, except:
1. Conversion of fibrinogen into fibrin
2. Platelet activation
3. Formation of plasmin
4. Activation of Factor XI

Correct answer: 3. Formation of plasmin

Explanation: Plasmin is generated by enzymatic catabolism of the inactive circulating precursor plasminogen, either by a factor XII-dependent pathway (possibly explaining the association of factor XII deficiency and thrombosis) or by plasminogen activators. Factor II/Thrombin's important activities are the following: Conversion of fibrinogen into cross-linked fibrin - Thrombin directly converts soluble fibrinogen into fibrin monomers that polymerize into an insoluble fibril Amplifies the coagulation process, not only by activating factor XI, but also by activating two critical cofactors: factors V and VIII. Stabilizes the secondary hemostatic plug by activating factor XIII, which covalently cross-links fibrin. Platelet activation - Thrombin is a potent inducer of platelet activation and aggregation through its ability to activate PAR-1.